The protein responsible for packing of DNA in chromosomes is -
1. Histone
2. Histamine
3. Histidine
4. Cyclin

Correct answer: 1. Histone

Explanation: Ans. is 'a' i.e., Histone* Chromosome is a double stranded DNA, which has got condensed with the help of proteins* Chromosome when fully extended measures a few metres long. To pack such a long chromosome inside a nucleus of few microns in diameter, the chromosome has to be condensed.* Condensation of chromosome is mediated by histones. Histones are basic proteins i.e., they are positively charged. DNA is negatively charged. Hence there is an electrostatic attraction between positively charged Histone and negatively charged DNA and a segment of dsDNA gets wound around Histones.